Which of the following vaccine is MOST sensitive to heat?
1. Measles
2. BCG
3. OPV
4. IPV

Correct answer: 3. OPV

Explanation: OPV is the most sensitive vaccine to heat requiring to be stored below -20 degree C. Measles vaccine also must be stored in the freezer compartment. Ref: Park 21st edition, page 101.